An adult presents with oval scaly hypopigmented macules over chest and back. The diagnosis is –
1. Leprosy
2. Lupus Vulgaris
3. Pityriasis versicolour
4. Lichen Planus

Correct answer: 3. Pityriasis versicolour

Explanation: Information in this question are :-


Adult patient
Hypopigmented macule
With Scales
Over chest and back